Which thyroid carcinoma has amyloid deposition?
1. Anaplastic
2. Follicular
3. Medullary
4. Papillary

Correct answer: 3. Medullary

Explanation: Medullary carcinomas of thyroid are neuroendocrine tumours derived from the parafollicular cells or C cells. Microscopically acellular amyloid deposits derived from calcitonin polypeptides are present in the stroma in many cases .Calcitonin is readily demonstrable within the cytoplasm of tumour cells as well as in stromal amyloid by immunohistochemical methods. Ref: Robbins and cotrans 9e Pg 1099